Normal body mass index is between
1. 16.5 - 20.5
2. 18.5 - 24.9
3. 25.0 - 29.9
4. 30.0 - 39.9

Correct answer: 2. 18.5 - 24.9